Spigelberg criteria is used in:
1. Ovarian pregnancy
2. Abdominal pregnancy
3. Cervical pregnancy
4. Tubal pregnancy

Correct answer: 1. Ovarian pregnancy

Explanation: Ans. is a, i.e. Ovarian pregnancySite of ectopicCriteria for diagnosisOvarian ectopicAbdominal ectopicCervical ectopicSpigelberg criteriaStuddiform ectopicRubin criteria/ Palmann criteria